Puerperal pyrexia is defined as a temperature of more than:
1. 98.4 degree F
2. 99 degree F
3. 100.4 degree F
4. 104 degree F

Correct answer: 3. 100.4 degree F

Explanation: A temperature of 38.0degC (100.4degF) or higher--in the puerperium. Causes Genital tract infection Breast engorgement Urinary infections Wound infection Perineal lacerations infection Respiratory complications Predisposing factors Home birth in unhygienic conditions, low socioeconomic status poor nutrition primiparity anemia prolonged rupture of membranes prolonged labor multiple vaginal examinations in labor cesarean section obstetrical maneuvers retained bits of placental membranes, tissues within the uterus Maternal complications septicemia endotoxic shock peritonitis or abscess formation